A child was operated for small intestine mass with intussusception and after the operation the tumor was diagnosed in histological section. Which is the most likely tumor associated?
1. Carcinoid
2. Villous adnoma
3. Lymphoma
4. Smooth muscle tumor

Correct answer: 3. Lymphoma

Explanation: SMALL-BOWEL NEOPLASM - MC tumor of small bowel: Leiomyoma > Adenoma - MC tumor of small bowel in children : Lymphoma - MC malignant tumor of small bowel : Adenocarcinoma >Carcinoid - MC site of small bowel malignancy, carcinoids, lymphoma: Ileum